Amount of thyroid tissue left after subtotal thyroidectomy is
1. 4gm on one side
2. 4gm on each side
3. 6gm on one side
4. 6gm on each side

Correct answer: 2. 4gm on each side

Explanation: Total thyroidectomy involves excision of all visible thyroid tissue. Near-total thyroidectomy is complete resection on one side while leaving a remnant of thyroid tissue on the contralateral side, leaving less than 1 g of tissue adjacent to the RLN at the ligament of Berry. Subtotal thyroidectomy leaves a remnant of thyroid tissue bilaterally. Subtotal resection of each lobe is carried out, leaving a remnant of 4-5 g on each side. Thyroid lobectomy typically includes removal of the thyroid isthmus and pyramidal lobe (if present). Source : Sabiston 20th edition Pg : 912 Bailey and Love 26th edition Pg : 761